Cryptosporidium cyst identified by which stain in stool sample?
1. PAS
2. H and E
3. Giemsa
4. Acid fast stain

Correct answer: 4. Acid fast stain

Explanation: Ans. d. Acid fast stain